In translation process , proof reading of tRNA is done by:
1. RNA polymerase
2. Amino - acyl-t - RNA synthetase
3. Leucine zipper
4. DNA

Correct answer: 2. Amino - acyl-t - RNA synthetase

Explanation: B i.e. Amino acyl t-RNA synthetase